Most common cardiac abnormality in Noonan syndrome is:-
1. Ventricular septal defect
2. Atrial septal defect
3. Pulmonary stenosis
4. Tetralogy of fallot

Correct answer: 3. Pulmonary stenosis

Explanation: - Cardiac anomalies associated with Noonan syndrome - Supravalvular pulmonary stenosis , HOCM, ASD IMPORTANT SYNDROMES & ASSOCIATED CARDIAC ANOMALIES: - Downs syndrome - Endocardial cushion defects - Turner syndrome - Bicuspid aortic valve > coarctation of aorta - Congenital Rubella Syndrome - PDA OTHER OPTIONS - RELATED ONELINERS: VSD: - MC congenital heart disease in children - MC congenital acyanotic heart disease in children - MC congenital heart diseases affected by infective endocarditis in children ASD: - Congenital heart disease least commonly affected by Infective endocarditis TOF: - MC congenital cyanotic heart disease in children